Topical mitomycin C is used in the treatment of ?
1. Basal skull ca
2. Tracheal stenosis
3. Skull base osteomyelitis
4. Angiofibroma

Correct answer: 2. Tracheal stenosis

Explanation: Ans. is 'b' i.e., Tracheal stenosis o Mitomycin-C is used in subglottic laryngeal and tracheal stenosis after endoscopic treatment of stenosis to prevent its relapse. o Mitomycin C is a potent fibroblast inhibitor, therefore topical application of Mitomycin C reduces granulation tissue formation and prevent recurrence.